Boerhaave's syndrome, true is
1. Iatrogenic
2. Silent manifestation
3. Present with acute chest pain
4. Treatment is conservative

Correct answer: 3. Present with acute chest pain

Explanation: Treatment emergency surgery- Golden period for primary closure of an esophageal perforation is within the first 24 hours